There is a pressure sore extending into the subcutaneous tissue but underlying structures are not involved. Stage of the pressure sore is
1. Stage 1
2. Stage 2
3. Stage 3
4. Stage 4

Correct answer: 3. Stage 3

Explanation: Stage 1Non-blanchable erythema without a breach in theepidermisStage 2Partial-thickness skin loss involving the epidermis and dermisStage 3Full-thickness skin loss extending into the subcutaneous tissue but not through underlying fasciaStage 4Full-thickness skin loss through fascia with extensive tissue destruction, maybe involving muscle, bone, tendon or joint Bailey and Love 27e pg: 29